Basic types of biases in epidemiological study-a)  Investigation biasb)  Subject biasc)  Random errord)  Analyzer bias
1. dc
2. cb
3. abd
4. b

Correct answer: 3. abd